Treatment of choice for pleomorphic adenoma is
1. Superficial parotidectomy
2. Radical parotidectomy
3. Enucleation
4. Total parotidectomy

Correct answer: 1. Superficial parotidectomy

Explanation: Superficial parotidectomy is the most common procedure for parotid gland pathology and procedure of choice for pleomorphic adenoma.A superficial parotidectomy is when the part of the gland superficial to the facial nerve has removed The aim of superficial parotidectomy is to remove the tumour with a cuff of normal surrounding tissue.A deep lobe parotidectomy is when the part of the gland beneath the nerve is removed and total parotidectomy is when both are dissected and removed.Radical parotidectomy involves removal of all parotid gland tissue and elective division of the facial nerve, usually through the main trunk. Radical parotidectomy is performed for patients in whom there is clear histological evidence of a high-grade malignant tumourRef: Bailey and love, page no: 791